Fluorescein angiography of a patient shows 'Bull's eye' lesions on the retina. Bull's eye retinopathy is due to:
1. Infrared light
2. UV-light
3. Phenothiazines
4. NSAIDS

Correct answer: 3. Phenothiazines

Explanation: Phenothiazine derivatives may conjugate with the melanin of the pigment layer, resulting in degeneration of the outer layers of the retina and a characteristic "bull's-eye retinopathy" by fluorescein angiography. Ref: Ropper A.H., Samuels M.A. (2009). Chapter 13. Disturbances of Vision. In A.H. Ropper, M.A. Samuels (Eds), Adams and Victor's Principles of Neurology, 9e.